The impression material used to record the prepared areas on abutment teeth is
1. High viscosity elastomeric impression material
2. Medium viscosity elastomeric impression material
3. Low viscosity elastomeric impression material
4. None of the above

Correct answer: 3. Low viscosity elastomeric impression material